Inclusion body conjunctivitis true in all except-
1. Self limiting
2. Present only in infants
3. Occurs while passage from birth canal
4. Caused by chlamydia

Correct answer: 2. Present only in infants

Explanation: ADULT INCLUSION CONJUNCTIVITIS,It is a type of acute follicular conjunctivitis associated with mucopurulent discharge. It usually affects the sexually active young adults.it is a self limiting disease caused while passing through the birth canal. Inclusion conjunctivitis is caused by serotypes D to K of Chlamydia trachomatis Ref: A K KHURANA COMPREHENSIVE OPHTALMOLOGY,E4,page-68